A young lady was admitted with h/o taking over dose of diazepam after broken affair. She has history of slitting her wrist previously. Most likely diagnosis is:
1. Narcissistic PD
2. Dependent PD
3. Borderline PD
4. Histrionic PD

Correct answer: 3. Borderline PD

Explanation: The repetitive episodes of self - harming behavior after stressors is suggestive of borderline personality disorder. It comes under Cluster B Personality disorder . In this person is Emotionally unstable and have impulsive nature with history of unstable relationships. These person use mechanism of splitting (eg. think person is either good/ devil). Splitting is an unconscious tendency to categorize people as either overly idealized or denigrated, often out of intolerance of ambiguity Other types of cluster B PD are Histrionic PD, Narcissistic PD and Antisocial PD.